Cardiac output depends on all of the following except:
1. Cardiac rate
2. Body surface area
3. Stroke volume
4. Cardiac contractility

Correct answer: 2. Body surface area

Explanation: Ans. B: Body surface area Cardiac Output (CO) = Stroke Volume x Heart Rate Normal SV is 70 mL and hence in a supine, resting man CO is 5.0 L/ min. (70 mLX 72 beats/min.) Cardiac Index (CI) = CO/ Body Surface Area (BSA) = SV x HR/BSA CI averages 3.2L